Red degeneration in uterine fibroid is most common in:
1. Second trimester
2. Third trimester
3. Puerperium
4. First trimester

Correct answer: 1. Second trimester

Explanation: Ans. is a, i.e. Second trimesterRef: Jeffcoate 7th/ed p502Read for yourself what - Ref: Dutta Obs. 6th/ed p309 has to say"Red degeneration; It predominantly occurs in a large fibroid during the second half of pregnancy or puerperium."From the above statement answer could be second trimester, third trimester or puerperium."Red degeneration; manifests typically about mid pregnancy when the leiomyoma suddenly become acutely painful, enlarged and tender." - Ref: Jeffcoate 7th/edp502This clears the doubts and confirms our answer, i.e. red degeneration is most common during second trimester (mid pregnancy).You should also keep in mind the following important points regarding-Fibroids and pregnancy.* Most fibroids do not increase in size during pregnancy.* Only 5% females with fibroid have degeneration during pregnancy.